Drugs which increase GABA level in brains-
1. Diazepam
2. Phenobarbitone
3. Sodium valproate
4. Carbamazepine

Correct answer: 3. Sodium valproate

Explanation: Ans. is 'c' i.e., Sodium valproate GABA level is increased by Valproate and vigabatrine --> by inhibiting GABA transaminase Gabapentin --> by increasing synaptic vesicle release of GABA.